False about enameloplasty is:
1. It uses rotary  finishing instrument
2. Leaves a smooth surface
3. The surface left by enameloplasty should meet the tooth preparation wall with a cavosurface angle no greater than  approximately 100 degrees
4. Enameloplasty is accomplished as part of final preparation stage

Correct answer: 4. Enameloplasty is accomplished as part of final preparation stage

Explanation: Enameloplasty refers to eliminating the developmental fault by removing it with the side of an appropriately shaped rotary finishing instrument, leaving a smooth surface. The surface left by enameloplasty should meet the tooth preparation wall, preferably with a cavosurface angle no greater than approximately 100 degrees; this would produce a distinct margin for amalgam of no less than 80 degrees.
Enameloplasty is accomplished as part of the initial preparation stage but does not involve extension of the preparation outline form.
Reference: Sturdevant operative dentistry. 7th ed, Page No:125, 327